BCG, True about it -
1. Killed vaccine
2. Subcutaneously given
3. Given in positive tubercular patients
4. Live vaccine

Correct answer: 4. Live vaccine

Explanation: Ans. is 'd' i.e., Live vaccine . BCG is the only widely used live bacterial vaccine. . It consists of living bacteria derived from an attenuated bovine strain of tubercle bacilli. . Normal saline is recommended as a diluent for reconstituting the vaccine. . It is given intradermally. . The site of injection should be just above the insertion of the deltoid.